Hydrogen peroxide is converted to water and oxygen by enzyme?
1. Superoxide dismutase
2. Catalase
3. Glutathione peroxidase
4. Myeloperoxidase

Correct answer: 2. Catalase

Explanation: Catalase, present in peroxisomes, catalyzes the decomposition of hydrogen peroxide (2H2O2 - O2 + 2H2O). Glutathione (GSH) peroxidases are a family of enzymes whose major function is to protect cells from oxidative damage 2 GSH (glutathione) + H2O2 - GS-SG + 2 H2O. myeloperoxidase converts H2O2 to a highly reactive compound hypochlorite Superoxide dismutase converts superoxide into H2O2 ref robbins basic pathology 9th ed page 15